Earliest feature of pulmonary venous hypertension
1. Kerley B lines
2. Upper lobar diversion of vessels
3. Left atrial enlargement
4. Pleural effusion

Correct answer: 2. Upper lobar diversion of vessels

Explanation: B i.e., Upper lobar diversion of vessels Upper lobe venous diversion is the first radiological sign of pulmonary venous hypertensonQ.